Commonest site of Ivory osteoma -
1. Frontal-Ethmodial region
2. Mandible
3. Maxilla
4. Sphenoid

Correct answer: 1. Frontal-Ethmodial region

Explanation: Ivory osteomas are most commonly seen in frontal sinus followed by ethmoid and maxillary sinus.